Embryologically hard palate develop from:
1. Maxillary process
2. Lateral palatine process
3. Frontonasal process
4. All of the above

Correct answer: 4. All of the above